Secretomotor fibers to the Submandibular salivary gland are carried in all the following except:
1. Facial
2. Chorda tympani
3. Mylohyoid
4. Lingual

Correct answer: 3. Mylohyoid